CT SCAN is based on?
1. piezoelectric effect
2. linear attenuation of xrays
3. Coincidence Imaging
4. Pulse Echo principle

Correct answer: 2. linear attenuation of xrays

Explanation: CT scan is based on Linear attenuation of Xrays/stopping power of various tissues, which is based on its density and is measured in Hounsfield Units. Pulse-Echo principle and Piezoelectric effect are used in USG. Coincidence imaging is used in PET scan.